The most serious complication of clomiphene therapy for induction of ovulation is:
1. Bone marrow depression
2. Hyperstimulation syndrome
3. Secondary amenorrhea
4. Multiple pregnancy

Correct answer: 2. Hyperstimulation syndrome

Explanation: Ans. is b, i.e. Hyperstimulation syndromeRef: Shaw 15th/ed, p315Ovarian hyperstimulation syndrome is the most dreaded complication of Clomiphene.